A 34 year old housewife reports a three month history of feeling low, lack of interest in activities, lethargy, multiple body-aches, ideas of worthlessness, decreased appetite and disturbed sleep with early morning awakening. She is likely to benefit from -
1. Anti-psychotics
2. Anti-depressants
3. Anxiolytics
4. Hypno-sedatives

Correct answer: 2. Anti-depressants

Explanation: This patient has (for 3 months)


Depressed mood (feeling low)       
Lack of interest    
Loss of energy / fatigue (lethargy)
Ideas of worthlessness
Disturbed sleep (insomnia / hypersomnia)       
Decreased appetite


As more than 5 symptoms are present for more than 2 weeks, Diagnosis is major depression Antidepressant should be given.